Most objective sign of gingivitis is
1. Increase in gingival size
2. Increase in crevicular fluid
3. Increase in gingival redness
4. Bleeding on probing

Correct answer: 4. Bleeding on probing